20-year-old female present with features of anemia. Blood tests: Hb-5g/dL, MCV - 52 fL, MCH-22 pg, PCV - 15%. Diagnosis?
1. Phenytoin toxicity
2. Fish tapeworm infection
3. Hookworm infection
4. Blind loop syndrome

Correct answer: 3. Hookworm infection

Explanation: The findings in the question are suggestive of iron deficiency anemia. Among given options, Hookworm infection can cause iron deficiency anemia due to chronic blood loss. Associated with megaloblastic anemia (vitamin B12/folate Deficiency): Phenytoin toxicity, Blind loop syndrome and Fish tapeworm (D. latum) infection.